In Congenital infection with intra - cranial calcification most Probable etiology is – a) Toxoplasmosisb) Cryptococcus meningitisc) Cytornegalo virus infectiond) Cerebral abscess
1. ac
2. bc
3. ad
4. b

Correct answer: 1. ac